Which is the innermost layer of corneal epithelium ?
1. Keratinized squamous cells
2. Flattened squamous cells
3. Umbrella shaped cells
4. Columnar cells

Correct answer: 4. Columnar cells

Explanation: Ans. is 'd' i.e., Columnar cells Corneal epithelium is stratified squamous non-keratinized type and becomes continuous with epithelium of bulbor conjunctiva at the limbus.It consists of 5-6 layers of cells. The deepest (basal) layer is made up of columnar cells, next 2-3 layers of wing or umbrella cells and most superficial two layers are of flattened cells.